All of the followings can cause hemolytic anaemia except-
1. Isoniazid
2. Rifampicin
3. Co-trimoxazole
4. Propanolol

Correct answer: 4. Propanolol

Explanation: Ans. is 'd' i.e., Propanolol Drugs causing hemolytic anaemia o Isoniazid o Sulfonamide o Procainamide o Phenacetin o Melphalan o Rifampicin o Quinidine o Penicillin o Dapsone